From which one of the following structures does Heschl's gyrus receive input?
1. Angular gyrus
2. Medial geniculate nucleus
3. Primary auditory cortex
4. Pulvinar

Correct answer: 2. Medial geniculate nucleus

Explanation: Primary auditory cortex (areas 41 and 42) is found in the transverse gyrus of Heschl and receives input from the medial geniculate nucleus. Parietal lobe includes the angular gyrus -receives visual impulses (area 39) and supramarginal gyrus -interrelates somatosensory, auditory, and visual inputs (area 40). Destruction of the angular and supramarginal gyri on the dominant (usually left) side gives rise to Gerstmann syndrome - symptoms include agraphia, acalculia, finger agnosia and left-right disorientation.